Investigation of choice in Hemobilia?
1. ERCP
2. Angiography
3. Upper GI endoscopy
4. Barium study

Correct answer: 2. Angiography

Explanation: * Hemobilia is suspected if Upper GI endoscopy shows presence of blood in duodenum but confirmation of diagnosis is done only after angiography. * Celiac axis angiography should always be accompanied with superior mesenteric arteriography because anomalous/accessory right hepatic artery may originate from the SMA.